Acid secreting cells in stomach known as
1. Mucus cells
2. Parietal cells
3. Chief cells
4. Endocrine cells

Correct answer: 2. Parietal cells

Explanation: B. i.e. (Parietal cells) (1857- HI7th)* Acid secreting parietal cell is located in the oxyntic gland, also secretes intrinsic factor* Parietal cell express receptors for several stimulants of acid secretion including histamine (H2), gastrin (cholecystokinin) and acetylcholine (Muscarinic M3)* Chief- cells found primarily in the gastric fundus**, synthesizes and secretes pepsinogen* Gut associated lymphoid tissue (GALT) is located in lamina propria**